All are features of BAD syndrome except:
1. Bell's palsy
2. Corneal anaesthesia
3. Dry eye
4. Exposure keratitis

Correct answer: 1. Bell's palsy

Explanation: Ans) a (Bell's palsy) Ref The facial nerve By Mark MayBAD syndrome consists of lack of bells phenomenon, which may lead to poor corneal coverage and lack of tear distribution; corneal anesthesia, due to exposure or fifth nerve deficit, as may occur in resection of a large posterior fossa tumour and dryness, due to loss of tear production as with lesions at or proximal to the geneculate ganglion.this condition can leads to comeal ulcer and exposure keartitis.Term BAD syndrome was coined by Guibor.It is a serious situation which requires immediate rehabilitation by eye closure and protection.Therefore, BAD syndrome does not contain Bells palsy as a component.